In PCR Acquaticus thermophilus is preferred over E.coli. because -
1. Thermostable at temperature at which DNA liquefies
2. Proofreading done
3. Done in more precisely
4. Does not require primer

Correct answer: 1. Thermostable at temperature at which DNA liquefies